A 60 yr old lady is diagnosed with carcinoma of endometrium with involvement of more than 50% of myometrium and vagina. Carcinoma has not involved pelvic and para aortic lymph nodes and peritoneal cytology is positive. Which is the stage of her malignancy?
1. lb
2. lllb
3. IIIc
4. IVa

Correct answer: 2. lllb

Explanation: Patient in the question is suffering from endometrial carcinoma stage IIIb as the malignancy has involved both endometrium and vagina without involvement of para aortic or pelvic lymph nodes. In stage IIIc endometrial carcinoma the malignancy spread to pelvic and para aortic lymph nodes. Positive cytology is to be reported separately and does not influence the stage of carcinoma endometrium.